Drug of choice for OCD
1. Fluoxetine
2. Imipramine
3. Diazepam
4. Haloperidol

Correct answer: 1. Fluoxetine

Explanation: A i.e. Fluoxitine